1 primary oocyte forms how many number of ova:
1. 1
2. 2
3. 3
4. 4

Correct answer: 1. 1

Explanation: Primary oocyte formed after meiotic division forms 1 ovum. Ref : Datta textbook of Obstetrics 9 e pg16.